A 55-year-old non-smoker lady presented with on and off haemoptysis and productive cough for 1 year. There was no fever or constitutional symptoms. Physical examination showed clubbing of fingers and coarse crepitations over the lung base. Blood tests were essentially normal and an initial CXR was performed. CT scan was also performed, which is shown below. What is the radiological diagnosis:
1. Pneumoconiosis
2. Bronchiectasis
3. Emphysema
4. Lung abscess

Correct answer: 2. Bronchiectasis

Explanation: Ans. B BronchiectasisThick walled air-filled clustered appearance on CXR - HRCT is known as Cluster of grapes signQ- seen in BronchiectasisQ. Tram-track signQ, Signet ring signQ, String of pearls signQ, Lobulated gloved fingerQ/Y/V-shaped densitiesQ seen. CXR - initial investigationQ. HRCT - is BESTQ.